Out of the following the true statement regarding sterilization is -
1. Dry heat is the best method of sterilization of liquid paraffin
2. All glass wares are best sterilized by boiling at 100o C
3. Bacterial vaccines are best sterilized by ethylene oxide
4. Pasteurization of milk by flash method is done by heating at 63degree C for 30 minutes.

Correct answer: 1. Dry heat is the best method of sterilization of liquid paraffin

Explanation: Option 1 Liquid paraffin is sterilized by Hot air oven (dry heat). Option 2 Glass ware like test tube, pipette, flask and glass syringes. Fixed oil glycerin, liquid paraffin, propylene glycol and zinc oxide etc. sterilized by Hot air oven (dry heat). Option 3 Filtration (Membrane filters) is an excellent way to remove the microbial population in solutions of heat-labile materials like vaccine, antibiotics, toxin, serum and sugar solution as well as for purification of air in laminar air flow systems. Option 4 Pasteurization is an example of sterilization at a temperature <100degC. Methods: 63degC for 30 min (Holder method) and 72degC for 15-20 sec (Flash method) followed by rapid cooling to 13degC